A 36-month-old male child appears chronically ill. He has had a succession of respiratory infections in the past 6-months. The child is underdeveloped, only 50% of ideal body weight, and exhibits marked muscle wasting. Laboratory findings include a normal serum albumin but decreased hemoglobin. These findings are most characteristic for which of the following?
1. Marasmus
2. Leukemia
3. Folate Deficiency
4. Kwashiorkor

Correct answer: 1. Marasmus

Explanation: Marasmus is characterized by gross muscle wasting and subcutaneous tissue resulting in emaciation, marked stunting and no edema.